Not true about paraphimosis is -
1. Iatrogenic
2. Seen in Diabetes mellitus
3. Gangrene of glans
4. Circumcision is the t/t

Correct answer: 2. Seen in Diabetes mellitus

Explanation: Ans is 'b' ie Seen in Diabetes mellitns Diabetes mellitus has no role in paraphimosis. Paraphimosis Etiology: When a prepuce is forcibly retracted over the glans penis, it may get stuck behind the glans. This condition is k/a paraphimosis. Pathology --> This constricting band of phimotic prepuce causes obstruction to the venous flow, which lead to edema and congestion of the glans. The glans swells leading to more difficulty in retracting back the prepuce. In neglected cases gangrene may result. Treatment --> Ice bags, gentle manual compression and injection of a solution of hyaluronidase in normal saline may help to reduce the swelling. If conservative method fails then the pt. can be t/t by circumcision*. A dorsal slit of the prepuce under local anaesthetic may be enough in an emergency It is uncommon for the urethra to be compressed, so the micturition is normally not affected.